Which of the following amino acid can have o-Glycoxylation linkage in oligosaccharide molecule:
1. Asparagine
2. Glutamine
3. Serine
4. Cysteine

Correct answer: 3. Serine

Explanation: Ans. C. SerineMajor Classes of Glycoproteins O-linked GlycoproteinO-glycosidic linkage between hydroxyl side chain of serine or threonine and N-acetyl galactosamine is presentN-linked GlycoproteinN-glycosidic linkage between amide nitrogen of asparagine and N-acetyl glucosamine is present.Glycosyl phosphatidylinositol-anchored (GPI-anchored, or GPI-linked) glycoproteinsThird major class of Glycoproteins.They link several proteins to Plasma membrane.Linked to the carboxyl terminal amino acid of a protein via a phosphoryl-ethanolamine moiety joined to an oligosaccharide (glycan), which in turn is linked via glucosamine to phosphatidylinositol(PI).